A 4-year-old female brought to the casualty department with multiple fractured ribs, and inconspicuous history from parents. On examination show multiple bruises and healed fractures. The probable diagnosis is -
1. Polytrauma for evaluation
2. Flail chest
3. Munchausen syndrome
4. Battered baby syndrome

Correct answer: 4. Battered baby syndrome

Explanation: child abuse have certain characteristic features :

Inflicted fractures of the shaft are more likely to be spiral rather than transverse.
A classic finding is a chip fracture in which a corner of the metaphysis of a long bone is torn off with damage to epiphysis and periosteum.



Bruises, Petechiae and Ecchymosis... all provide further clues to the diagnosis of child abuse.
In the given patient presence of spiral fracture femur, along with varying degrees of ecchymosis is highly suggestive of Battered baby syndrome.